Epithelial granuloma is caused by -
1. Neutrophil
2. Cytotoxic T cells
3. Helper T cells
4. NK cells

Correct answer: 3. Helper T cells

Explanation: Granuloma formation is a type IV hypersensitivity reaction mediated by helper T cells. This reaction is similar to caseating granuloma formation in TB Basic Pathology, Robbins. Page no.: 56